Analgesic that itself can cause headache as a side effect is :
1. Indomethacin
2. Mefenamic acid
3. Piroxicam
4. Aspirin

Correct answer: 1. Indomethacin